All of the following are signs of Cerebella disease except
1. Ataxic gait
2. Past Pointing
3. Nystagmus
4. Resting tremors

Correct answer: 4. Resting tremors

Explanation: guyton and hall textbook of medical physiology. *When a person who have lost cerebellum performs a voluntary act the movements tend to oscillate,especially when they approach intended mark 1st over shooting the mark then vibrating back and forth before settling on the mark -intention or action tremors